which is the SNRi used to treat pain assosiated with diaetic neuropathy
1. clomipramine
2. venlafaxine
3. duloxetine
4. desvenlafaxine

Correct answer: 3. duloxetine

Explanation: SNRI * IMPORTANCE Dual antidepressant like TCA but better than TCA has it has no dryness of mouth, hypotension, sedation * MECHANISM Inhibits the reuptake of both serotonin and dopamine * DRUGS VENLEFEXINE DESVENLEFEXINE DULOXETINE * USE Duloxetine===PAIN ASSOSIATED WITH DIABTIC NEUROPATHY and STRESS URINARY INCONTINENCE Milnacipran===Fibromyalgia * SIDE EFFECTS DIASTOLIC HYPERTENSION DELAYED ORGASM WITHDRAWL SYNDROME ON DISCONTINUATION, hence should not be abruptly stopped. To try slow tapering Ref. kaplon and Sadock, synopsis of psychiatry, 11 thedition, pg no. 955